Which of the following antibiotic does not act by inhibiting protein synthesis ?
1. Vancomycin
2. Tetracycline
3. Streptomycin
4. Azithromycin

Correct answer: 1. Vancomycin